Which is an omega - 9 fatty acid:
1. Cervonic acid
2. Oleic acid
3. Linolenic acid
4. Arachidonic acid

Correct answer: 2. Oleic acid

Explanation: Oleic acid Mono-unsaturated or monoenoic fatty acid 18 Carbons with one double bond at C-9. So, it is a omega-9 fatty acid. Cervonic acid(DHA- Docosa Hexaenoic Acid) 22 C and 6 double bonds (Docosa means 22, Hexaenoic means 6 double bonds). This fatty acid belongs to omega-3 category. Found in breast milk. Linoleic acid 18 C, 2 double bonds. Precursor of omega-6 category. Arachidonic acid 20 C, 4 double bonds. Synthesis of Prostaglandins and Leukotrienes.